The difference between sterilization and disinfection is that:
1. Disinfection kills all spores but sterilization does not
2. Sterilization kills all spores but disinfection does not
3. Sterilization involves chemicals and disinfection involves physical methods
4. Sterilization is easier to achieve

Correct answer: 2. Sterilization kills all spores but disinfection does not